In pericoronaL abscess related to distort angular impacted Lower third molars the infection may spread to:
1. Submasseteric space
2. Sublingual space
3. Submental space
4. Buccal space

Correct answer: 1. Submasseteric space